PERIOTEST is used for detecting
1. Enzymes in GCF
2. Tooth mobility
3. Antibodies
4. Inflammatory mediators

Correct answer: 2. Tooth mobility